Glutathion synthetase requires ?
1. Copper
2. Selenium
3. Magnesium
4. Iron

Correct answer: 3. Magnesium

Explanation: Magnesium RememberGlutathione synthetase requires --* MagnesiumGlutathione peroxidase contains -> Selenium